Who is Father of Interventional Radiology?
1. Henry Bacquerel
2. Marie Curie
3. Charles Dotter
4. W.C. Roentgen

Correct answer: 3. Charles Dotter

Explanation: Charles Dotter was a pioneering US vascular radiologist who is credited with developing interventional radiology. Dotter, together with his trainee Dr. Melvin P. Judkins, described angioplasty in 1964.